Warthin Finkleday giant cells are seen in:
1. LGV
2. Measles
3. Mumps
4. Rubella

Correct answer: 2. Measles

Explanation: Ans: b (Measles)The cytopathic effects of measles include1) Multinucleate syncitium formation2) Acidophilic cytoplasmic & nuclear inclusion bodies3) Multinucleate giant cells (Warthin Finkleday cells)More about measles* Commonest childhood exanthema (Mobili virus)* Characteristic Koplik spots are seen opposite to upper molars* Most common complication of measles is otitis media* SSPE is a rare complication of measles; Drug used in treatment - isoprenosineAbout the properties of paramyxovirus study the given below points byheart* Fusion protein is present in all members* Haemolysis & haemagglutination positive in all except RSV* No neuraminidase in RSV & measles* In other words RSV has got only F protein (for syncitium formation)